Which of the following is beta (b2) antagonistic:
1. Esmolol
2. Betaxolol
3. Butoxamine
4. Celiprolol

Correct answer: 3. Butoxamine

Explanation: (Butoxamine): Ref: 125-KDT (136-KDT 6th)CLASSIFICATION OF b ADRENERGIC BLOCKING AGENTSNonselectgive (b1 and b2)Cardio selective (b1)Selective (b2)a. without intrinsic sympatho mimetic activity- Propranolol, sotalol, timololMetoprololButoxamine ICI 118551Atenolol Acebutolol b. With intrinsic sympathomimetic activity- PindololBisoprolol Esmolol Betaxolol c. With additional a blocking property Labetalol, carvediololCarvedilol